Drugs associated with ischemic stroke include the following except -
1. Cocaine
2. Oral contraceptives
3. Amphetamines
4. Barbiturates

Correct answer: 4. Barbiturates